RAVULIZUMAB is a new drug approved for treatment of?
1. PAROXYSMAL NOCTURNAL HEMOGLOBINURIA
2. SICKLE CELL ANEMIA
3. ACUTE HEPATIC PROPHYRIA
4. MENINGOCOCCAL INFECTIONS

Correct answer: 1. PAROXYSMAL NOCTURNAL HEMOGLOBINURIA

Explanation: RAVULIZUMAB : It is monoclonal antibody against C5 complement component. PNH is a rare acquired disorder that leads to hemolysis. Ravulizumab is a longest acting complement inhibitor that prevents hemolysis. Given intravenously every 8 weeks. Another monoclonal antibody against C5, eculizumab is given every 2 weeks. It carries a black box warning of risk of meningococcal infection / sepsis. Therefore patient should be vaccinated for meningococcal disease. VOXELOTOR is used for oral treatment of sickle cell anemia. GIVOSIRAN is used for Acute hepatic prophyria.